Chitin contains
1. Alpha 1-4 bond
2. b-1-6 bond
3. Alfa 1-6 bond
4. b-1-4 bond

Correct answer: 4. b-1-4 bond

Explanation: It is present in exoskeletons of crustacea and insects. It is composed of units of N-acetyl-glucosamine with beta -1,4-glycosidic linkage.Ref: DM Vasudevan, page no: 79